Otosclerosis treatment includes all except
1. Sodium fluoride
2. Hearing Aids
3. Stapedectomy
4. Radical mastoidectomy

Correct answer: 4. Radical mastoidectomy

Explanation: TREATMENT Medical: There is no medical treatment that cures otosclerosis. Sodium fluoride has been tried to hasten the maturity of active focus and arrest further cochlear loss, but controversies exist and this treatment is not recommended generally. Surgical: Stapedectomy / Stapedotomy with the placement of a prosthesis is the treatment of choice. Here the fixed otosclerotic stapes is removed and a prosthesis inserted between the incus and oval window. Prosthesis employed may be a Teflon piston, stainless step piston, platinum - teflon or titanium - Teflon piston. Ref: Diseases of EAR, NOSE and THROAT by PL Dhingra;7th edition, page no.97